Fluoride action on carbohydrates in reducing the caries is by
1. Inhibiting enolase
2. Inhibiting fructose
3. Inhibiting the sucrase
4. Inhibiting glycolase

Correct answer: 1. Inhibiting enolase